Hinge fracture is seen in -
1. Vault
2. Ant cranial fossa
3. Middle cranial fossa
4. Posteriorcamtal fossa

Correct answer: 3. Middle cranial fossa

Explanation: Ans. is 'c' i.e., Middle cranial fossa [Ref: http/fmedicine.nic.in/jal/tl0fi2/jailt 0i2pl44.pdf,www.pathology-expert.comJboards/forensics/fneuropathy. htm 1)o Hinge fracture of skull is a basilar fracture of skull involving middle cranial fossa and pituitary fossa dividing the base of skull into an anterior and posterior segments. It is associated with blows to the chin as sustained by boxers and motorcyclists.